Whihc of the following is true about meningococcal Meningitis-
1. Case fatality less than 10% in untreated cases
2. Cases are main source of infection
3. Rifampicin is the Drug of choice
4. Treatment in the first 2 days can save the life of 95% cases

Correct answer: 4. Treatment in the first 2 days can save the life of 95% cases

Explanation: Park's texbook of Preventive and Social Medicine 23rd edition Page no:165 - 166 Fatality of typical untreated cases is about 80% Carriers are the most important source of infection. Clinical cases present only a negligible source of infection Penicillin is the drug of choice